Stretch laceration is seen in
1. Blunt tangential impact
2. Blunt perpendicular impact
3. Horizontal crushing
4. Impact by sharp objects with heavy base

Correct answer: 1. Blunt tangential impact

Explanation: Stretch laceration These lacerations occur from over stretching of the skin and soft tissues due to heavy forceful impact exercising a localised pressure. Stretching of tissues can occur in run over by a motor vehicle. Ref: FORENSIC MEDICINE AND TOXICOLOGY Dr PC IGNATIUS THIRD EDITION PAGE 121